Doppler effect results from change in-
1. Amplitude of sound
2. Frequency of sound
3. Direction of sound
4. None of the above

Correct answer: 2. Frequency of sound

Explanation: Doppler effect: change in frequency because of relative motion between moving source of sound and observer. Example: Sound waves hitting resting parenchyma Sound wave hitting moving RBC The difference gives color coding doppler effect. Color coding: based on direction of flow Flow TOWARDS probe: RED Flow AWAYfrom probe:BLUE Color does NOT depend on artery or vein Intensity of color depends on velocity of flow